A 48-year-old woman has developed persistent swelling and puffiness in the left arm after a mastectomy with axillary node dissection for breast cancer 1 year ago. She developed cellulitis in the left arm 3 months ago. Physical examination shows firm skin over the left arm and "doughy" underlying soft tissue. The arm is not painful or discolored. Which of the following terms best describes these findings?
1. Lymphedema
2. Subclavian arterial thrombosis
3. Thrombophlebitis
4. Tumor embolization

Correct answer: 1. Lymphedema

Explanation: A mastectomy with axillary lymph node dissection leads to disruption and obstruction of lymphatics in the axilla. Such obstruction to lymph flow gives rise to lymphedema, a condition that can be complicated by cellulitis. Arterial thrombosis produces ischemia distal to the obstruction. Thrombophlebitis from venous stasis is a complication seen more commonly in the lower extremities. Arterial thrombosis can lead to a cold, blue, painful extremity. Tumor emboli are generally small but uncommon. Vasculitis is not a surgical complication.